Anatomic characteristics of the spleen include?
1. Blood supply to the spleen includes branches from the left renal artery
2. The spleen is wholly contained within the lesser sac
3. The spleen lies in the retroperitoneal space
4. The splenic artery is a terminal branch of the celiac trunk

Correct answer: 4. The splenic artery is a terminal branch of the celiac trunk

Explanation: The arterial supply to the spleen is derived from the splenic artery, which arises within the hepatic artery as the terminal branches of the celiac trunk. The spleen is located with in the dorsal mesentery of the stomach protruding in part into the omental bursa. The blood vessels enter the spleen in the splenic pedicle, the mesenteric attachment to the wall of the omental bursa, which contains the blood vessels to the spleen. The splenic artery, after it divides into two terminal branches, gives rise to the short gastric arteries and the left gastroepiploic artery.